Which of the following is not used in the prophylaxis of febrile seizures?
1. Sodium valproate
2. Carbamazepine
3. Phenobarbitone
4. Diazepam

Correct answer: 2. Carbamazepine

Explanation: Ans: B (Carbamezapine) Ref: NP Rosman, NP et al. A controlled trial of diazepam administered during febrile illnesses to prevent recurrence of febrile seizures NEJM. Vol 329, 1993 79-84 & Nelson Textbook of Pediatrics, 19th ed.Explanation:Drugs that can be used for prophylaxis of febrile seizures are Phenobarbitone. Primidone diazepam and Sodium Valproate.However currently only oral diazepam is preferred during febrile episodes to reduce the risk of recurrent febrile seizuresIntravenous benzodiazepines. phenobarbitaL phenytoin, or valproate may be needed in the case of febrile status epilepticus.If the parents are very anxious concerning their child's seizures, intermittent oral diazepam can be given during febrile illnesses (0.33 mg/ kg every 8 hr during fever) to help reduce the risk of seizures in children known to have had febrile seizures with previous illnesses.Intermittent oral nitrazepam, clobazam. and clonazepam (0.1 mg/kg/day) have also been used. Other therapies have included intermittent diazepam prophylaxis (0.5 mg/kg administered as a rectal suppository every 8 hr), phenobarbital (4-5 mg/kg/day in 1 or 2 divided doses), and valproate (20-30 mg/kg/day in 2 or 3 divided doses).